True about nutrition include the following, EXCEPT:
1. Vitamin-A deficiency does not occur for a year or so after stopping its intake
2. Zinc deficiency-pulmonary fibrosis
3. Selenium deficiency-Cardiomyopathy
4. High Calcium in diet reduces iron absorption

Correct answer: 2. Zinc deficiency-pulmonary fibrosis

Explanation: The diagnosis of zinc deficiency is usually made by a serum zinc level Clinical features of zinc deficiency are, Growth retardation Decrease in taste and smell Alopecia Dermatitis Diarrhea Immune dysfunction Failure to thrive Gonadal atrophy Congenital malformations Selenium deficiency causes cardiomyopathy, heart failure, and striated muscle degeneration. High calcium intake interferes with manganese, phosphorus, and iron absorption. The liver contains approximately 90% of the vitamin A reserves and secretes vitamin A in the form of retinol, which is bound to retinol-binding protein. Hence Vitamin A deficiency does not occur for a long time after stopping its intake. Also know: Acrodermatitis enteropathica is a rare autosomal recessive disorder characterized by abnormalities in zinc absorption. Clinical manifestations include diarrhea, alopecia, muscle wasting, depression, irritability, and a rash involving the extremities, face, and perineum. Ref: Russell R.M., Suter P.M. (2012). Chapter 74. Vitamin and Trace Mineral Deficiency and Excess. In D.L. Longo, A.S. Fauci, D.L. Kasper, S.L. Hauser, J.L. Jameson, J. Loscalzo (Eds), Harrison's Principles of Internal Medicine, 18e.